Uterinesouffle is defined as :
1. Is a soft blowing murmur synchronous with foetal heart sounds.
2. Is due to increase in blood flow through the dilated uterine vessels
3. Is due to the active foetal movements
4. Indicates the underlying foetal distress.

Correct answer: 2. Is due to increase in blood flow through the dilated uterine vessels

Explanation: The uterine souffle is a soft, blowing sound that is synchronous with the maternal pulse.
It is usually heard most distinctly near the lower portion of the uterus.
This sound is produced by the passage of blood through the dilated uterinevessels.
It also may be heard with any condition in which uterine blood flow is greatly increased, for example, with large uterine myomas or ovarian tumors.